Pterygium all are true except:
1. Arise from any part of conjunctiva
2. Can cause astigmatism
3. Surgery is treatment of choice
4. UV exposure is risk factor

Correct answer: 1. Arise from any part of conjunctiva

Explanation: Ans. Arise from any part of conjunctiva